Thyrotoxicosis not associated with hyperthyroidism is caused by all Except
1. Granulomatous thyroiditis
2. Struma ovarii
3. Factitious thyrotoxicosis
4. TSH-secreting pituitary adenoma

Correct answer: 4. TSH-secreting pituitary adenoma

Explanation: Thyrotoxicosis is a hypermetabolic state caused by elevated circulating levels of free T3 and T4. Hyperthyroidism is hyperfunction of the thyroid gland. Hyperthyroidism is the most common cause of thyrotoxicosis, however, in certain conditions, the oversupply is related to either excessive release of preformed thyroid hormone (e.g., in thyroiditis) or to an extrathyroidal source, rather than hyperfunction of the gland (Struma ovarii, exogenous intake)In TSH-secreting pituitary adenoma, TSH will stimulate the thyroid, so its secondary hyperthyroidism.Robbins pathology Pg: 1083